Patient with jaundice and white stools. Which of the following enzymes is not raised
1. 5' nucleotidase
2. Alkaline phosphatase
3. Glutamate reductase
4. Gamma glutamyl transpeptidase

Correct answer: 3. Glutamate reductase

Explanation: Large increase in gamma glutamyl transferase and ALP favours biliary obstruction (Davidson; page 929) 5&;nucleotidase rise parallels ALP but more specific for diseases of hepatic origin (Harsh mohan page 594)